All of the following are true about bacillus anthrax except:
1. Plasmid is responsible for toxin production
2. Cutaneous anthrax generally resolves spontaneously
3. Capsular polypeptide aids in virulence by inhibiting phagocytosis
4. Culture media is MYPA

Correct answer: 4. Culture media is MYPA

Explanation: Bacillus anthracis produce anthrax toxin which is encoded by plasmid ( px01) Bacillus anthracis cause cutaneous anthrax (hide porter's disease ) and pulmonary anthrax ( wool sorter's disease) .Cutaneous anthrax is self -limiting , it resolves spontaneously . Capsular polypeptide is made up of poly-D-glutamic acid capsule which aids in virulence by inhibiting phagocytosis. Capsular polypeptide can be demonstrated by Mc Fadeyan's Reaction . Bacillus anthracis can be grown on solid media with penicillin & PLET medium. Bacillus anthracis is non-motile and this feature helps to differentiate it from anthracoid bacilli such as Bacillus cereus which are motile It is first bacillus to be isolated in pure culture Anthrax toxin is tripartite toxin It consists of - Edema factor Protective factor Lethal factor - MYPA media is used to grow Bacillus cereus.